For transplantation, cornea can be removed from dead body up to:
1. 6 hours
2. 12 hours
3. 18 hour
4. 24 hours

Correct answer: 1. 6 hours

Explanation: Ans. (A). 6 hoursTime of molecular death in different tissues varies with each tissue.Max Time of removal of organs for transplantation:Brain 5-7 minutesQLiver 15 minutesKidney 45 minutesQHeart 60 minutesCornea 6 hoursQBone 48 hoursQVessels 72 hours